LCAT activates?
1. ApoA1
2. ApoB100
3. Apo C-2
4. Apo C-3

Correct answer: 1. ApoA1

Explanation: Ans. (a) Apo A1Ref Harper's Biochemistry 28/e, chapter 25